All of the following are true regarding Phrygian cap of gallbladder, except?
1. Congenital anomaly of the gallbladder
2. Can lead to cholecystitis
3. Simulate a mass on radiological imaging
4. Results from infolding of the gallbladder fundus

Correct answer: 2. Can lead to cholecystitis

Explanation: Phrygian cap Congenital anomaly of the gallbladder Results from folding of the gallbladder fundus Resembles a soft conical cap with the top pulled forward Can simulate a mass in the liver during hepatobiliary imaging and is sometimes mistaken for pathology. Normally causes no symptoms Does not predispose to other diseases.